Trethowan sign is used in radiological diagnosis of?
1. TB Hip
2. Perthes Disease
3. Slipped Capital Femoral Epiphysis
4. Avascular Necrosis of head of femur

Correct answer: 3. Slipped Capital Femoral Epiphysis

Explanation: TRETHOWAN'S SIGN In normal hip a line drawn tangential to superior femoral neck (Klein's line) intersects small portion of lateral capital epiphyseal. In posterior displacement of epiphyses the line doesn't intersect.